All are true about Ganser's syndrome except -
1. Approximate answer
2. Apparent clouding of consciousness
3. Only found in prisoners
4. Hallucinations

Correct answer: 3. Only found in prisoners

Explanation: Gansor syndrome is characterized by the giving of approximate answers (parologia), together with a clouding of consciousness, and frequently accompanied by hallucinations and other dissociative, somatoform or conversion symptoms.